Sitting duck heart is radiological finding of
1. TAPVC
2. Persistent truncus arteriosus
3. Ebstein's anomaly
4. Constrictive pericarditis

Correct answer: 2. Persistent truncus arteriosus

Explanation: Sitting duck heart - Persistent truncus arteriosus.
Jug handle appearance - Primary pulmonary hypertension.